Most common cardiac anomoly associated with Turner's syndrome among the following is
1. Aortic stenosis
2. Ventricular septal defect
3. Coarctation of Aorta
4. Pulmonary stenosis

Correct answer: 3. Coarctation of Aorta

Explanation: Most common cardiac anomoly associated with Turner's syndrome is Bicuspid Aortic valve > Coarctation of Aorta.